Percentage of cases with cystic glandular hyperplasia turning into malignancy :
1. 0.10%
2. 2%
3. 1%
4. 10%

Correct answer: 3. 1%

Explanation: WHO classification and Progression to Carcinoma Percentage of cystic glandular hyperplasia turning to malignancy is 1% Reference : Textbook of Gynaecology; Sheila balakrishnan; 2nd edition; Pg no: 248